Which of the following drug is used as an antismoking drug
1. Trimethoprim
2. Fluvoxate
3. Biperiden
4. Mecamylamine

Correct answer: 4. Mecamylamine

Explanation: Mecamylamine is Nicotine receptor antagonist used against smoking.